Mutation of Wilm's tort is located on -
1. 13p
2. 13q 14
3. 1 1p 13
4. 1 1 q 13

Correct answer: 3. 1 1p 13

Explanation: linked to a specific chromosome deletion: This syndrome is associated with deletion of the short arm of chromosome 11, band 13 (11p13). The WAGR deletions encompass a number of contiguous genes including the aniridia gene PAX6 and the Wilms tumor suppressor gene WT1. Ref Harrison 20th edition pg 657